Exclusive breast feeding is at least till?
1. 4 month
2. 6 month
3. 8 month
4. 10 month

Correct answer: 2. 6 month

Explanation: Ans. is 'b' i.e., 6 months o Exclusive breast feeding :The baby should be given only breast milk and nothing else (not even water) for first 6 months of life. Weaning should be started by 6 months of age with semisolid food, in addition to continuing breast feeding. o The WHO recommends exclusive breast feeding for the first six months of life and then breast feeding up to two years or more. o Complementary feeding means giving the child other nutritious foods in addition to breast milk. Breast feeding is sufficient food for first 6 months. Thereafter, concentrated energy dense complementary foods are essential in order to maintain an adequate velocity of growth for the infant.